Infectious part of chlamydia is -
1. Elementary body
2. KP body
3. Reticulate body
4. None

Correct answer: 1. Elementary body

Explanation: Ans. is `a' i.e., Elementary body